Mixed tumors of the salivary glands, are
1. Most common in submandibular gland
2. Usually malignant
3. Most common in parotid gland
4. Associated with calculi

Correct answer: 3. Most common in parotid gland

Explanation: Eighty percent of salivary neoplasms are in the parotids of which 80% are benign; 80% of these are pleomorphic adenomas ; 80% occur in superficial lobe SRB,5th,413.